In reduction genioplasty
1. Symphysis part of mandible is reduced
2. Symphysis part of mandible is advanced
3. Parasymphysis part of the mandible is reduced
4. Parasymphysis part of the mandible is advanced

Correct answer: 1. Symphysis part of mandible is reduced